Hysterosalpingography (HSG) is performed between which of the following menstrual cycle days?
1. 2 to 6
2. 7 to 12
3. 14 to 18
4. 21 to 26

Correct answer: 2. 7 to 12

Explanation: Hysterosalpingography (HSG) is performed after menses but prior to ovulation between cycle days 7 and 12 to avoid potential pregnancy and take advantage of the thinner proliferative phase endometrium. Reference: Novak's Gynecology; 14th edition; Chapter 32; Infertility and Assisted Reproductive Technology